Following are the waste types not to be incinerated except
1. Pressurized gas containers
2. Reactive chemical waste
3. Content of combustible matter above 60%
4. Halogenated plastics

Correct answer: 3. Content of combustible matter above 60%